Characteristics of diabetic 3rd nerve palsy may include all except
1. Pain
2. Normal pupils
3. Recovery within 6 months
4. Aberrant regeneration

Correct answer: 4. Aberrant regeneration

Explanation: Aberrant regeneration(oculomotor synkinesis) occurs after traumatic lesions and not after Diabetic third nerve palsy. 'Medical' lesions such as occur in HTN and DM usually spare pupil. This is because the microangiopathy involves vasa nervorum, causing ischaemia of main trunk of nerve, leaving the superficial pupillary fibres intact. Thus there is normal pupillary reaction. Location of pupillomotor fibres is within the trunk of 3rd nerve Patients may also have pain and lesion recovers in 6 months.